Theory of human motivation was given by ?
1. Pavlov
2. Abraham Maslow
3. Alios Alzheimer
4. Aaron Beck

Correct answer: 2. Abraham Maslow

Explanation: Ans. B. Abraham MaslowMaslords hierarchy of needs is a theory in psyehslag proposed by Abraham Maslow in his 1943 paper."A Theory Of Human Motivation" in Psychological Review.Maslow subsequently extended to include his observations of humans innate curiosity'.His theories parallel many other theories of human developmental psychology, some of which focus on describing the stages of growth in humans.Maslow used the terms "physiological", "safety', "beloftingness" and love, esteem, self-actualization", and "self-transcendence" to describe the pattern that human motivations generally have through.